Inheritance pathern of ABO blood group system is-
1. Pseudodominance
2. Autosomal dominant
3. Autosomal recessive
4. Codominance

Correct answer: 4. Codominance

Explanation: harshmohan textbook of pathology 7th edition Codominance is when both alleles of a gene pair are expressed in heterozygous state as seen in ABO blood grouping